Which of the following drugs is used for Irritable Bowel Syndrome of the constipating type -
1. Lubipro stone
2. Cholestyramine
3. Alosetron
4. Rifaximin

Correct answer: 1. Lubipro stone